Pulp necrosis is most likely to occur after which of the following injury:
1. Midroot fracture.
2. Intrusive luxation.
3. Concussion.
4. Complete crown fracture.

Correct answer: 2. Intrusive luxation.

Explanation: These injuries cause severe damage to the neurovascular bundle and to the periodontium. The blood supply and neurovascular tissues are crushed completely and, in teeth with partially to completely closed apices, the pulpal prognosis is extremely poor, with almost a 100% probability of pulpal necrosis. Because of the severe damage to the periodontium, the probability of ER is extremely high in these injuries.